Enzymes are usually:
1. Lipid
2. Nucleic acids
3. Carbohydrates
4. Protein

Correct answer: 4. Protein

Explanation: Enzymes are mainly proteins, that catalyze (i.e., increase the rates of) chemical reactions with the exception of catalytic RNA molecules, or ribozymes.In enzymatic reactions, the molecules at the beginning of the process are called substrates, and the enzyme converts them into different molecules, called the products.